Heparin is the most widely used antithrombotic agent. It acts by activating -
1. Plasmin
2. Antithrombin III
3. Fibrinolysin
4. Factor X

Correct answer: 2. Antithrombin III

Explanation: Ans. is 'b' i.e., Antithrombin III